Myasthenia gravis is associated with:
1. Hypergammaglobulenaemia
2. Thymoma
3. Squamous cell carcinoma
4. Hepatic adenoma

Correct answer: 2. Thymoma

Explanation: (Thymoma): Ref: 882-HM (476- Basic pathology 8th)MYASTHENIA GRAVIS: - In which the acetylcholine receptors (AchR) in the motor and plates of the muscles are damaged.* Several other autoimmune disease have been found associated with MG such as autoimmune thyroiditis, rheumatoid arthritis, SLE, pernicious anaemia and collagen vascular diseaseThymoma is the most common primary tumor of anterior mediastinum associated with M. gravis* Thymoma are known for their association with paraneoplastic syndrome, These include: Myasthenia gravis (Most common) hypogammaglobulinaemia, erythroid hypoplasia (Pure red cell aplasia), peripheral T. cell leukaemia, multiple myeloma, other autoimmune disease associations and other systemic malignancies.